When used in the management of inflammatory disorders, glucocorticoids are likely to cause
1. hypoglycemia
2. decreases in blood pressure
3. anabolic actions in wound healing
4. increase in intraocular pressure

Correct answer: 4. increase in intraocular pressure

Explanation: Ocular side effects of glucocorticoids include the development of cataracts and glaucoma through increases in IOP. All of the other effects listed are "opposites," so anticipate possible hyperglycemia, hypertension, decreased wound healing, and CNS excitatory effects that have been interpreted as psychosis.